All are Viral inclusion bodies except?
1. Guarneri bodies
2. Bollinger bodies
3. Paschen bodies
4. Psamomma bodies

Correct answer: 4. Psamomma bodies

Explanation: Psamomma bodies are concentric lamellated calcified structures seen in meningioma and papillary thyroid carcinoma.